Phocomelia is due to teratogenic effect of :
1. Thalidomide
2. Chlorpromazine
3. Methotrexate
4. Carbamazepine

Correct answer: 1. Thalidomide